A man loses his right hand in a farm accident, four year later, he has episodes of severe pain in the missing hand (phantom limb pain). A detailed PET scan study of his cerebral cortex might be expected to show
1. Expansion of the right hand area in his right somatic sensory area I
2. Expansion of the right hand area in his left somatic sensory area I
3. Projection of fibre from neighboring sensory areas into the right hand area of his right somatic sensory area I
4. Projection of fibers from neighbouring sensory areas into the right hand area of his left somatic sensory area I

Correct answer: 4. Projection of fibers from neighbouring sensory areas into the right hand area of his left somatic sensory area I

Explanation: When a body part is amputated, the somatosensory area that represents the neighbouring part of the amputated part spreads over to the somatosensory area that represents the amputated area- Cortical plasticity. This may describe the phenomenon of phantom limb. Since representation in somatosensory area is of contralateral side, cortical plasticity occurs in the opposite side of somatosensory area.